Right border of the heart in CXR is formed by – a) Pulmonary arteryb) Superior vena cavac) Rt atriumd) Rt ventricle
1. bc
2. c
3. ac
4. ad

Correct answer: 1. bc